Battle's sign is associated with:
1. Orbital cellulitis
2. Head injury
3. Conjunctivitis
4. Liver failure

Correct answer: 2. Head injury

Explanation: Extravasation of blood results in ecchymosis behind the ear, known as Battle's sign. A fracture of the anterior skull base can result in anosmia (loss of smell from damage to the olfactory nerve), CSF drainage from the nose (rhinorrhea), or periorbital ecchymoses, known as raccoon eyes. Ref: Schwartz's principle of surgery 9th edition, chapter 42.